What is not seen in middle 3rd fracture in face-
1. Face lengthening
2. Face shortening
3. Teeth malocclusion
4. CSF rhinorrhea

Correct answer: 2. Face shortening

Explanation: Ans. is 'b' i.e., Face shortening Fracture of middle third of face and maxilla It is classified into 3 types : ? Le Fort I (transverse) fracture runs above and parallel to the plate. It crosses lower part of nasal septum, maxillary antra and the pterygoid plates. Le Fort II (pyramidal) fracture passes through the root of nose, lacrimal bone, floor of orbit, upper part of maxillary sinus and pterygoid plates. This fracture has some features common with the zygomatic fractures. Le Fort III (craniofacial dysfunction) There is complete separation of facial bones from the cranial bones. The fracture line passes through root of nose, ethmofrontal junction, superior orbital fissure, lateral wall of orbit, frontozygomatic and temporozygomatic sutures and the upper part of pterygoid plates. Clinical features of maxillary fracture Malocclusion of teeth with anterior open bite Elongation of midface Mobility in the maxilla CSF rhinorrhoea Cribriform plate is injured in Le Fort II and Le Fort III fractures. Injury to infra-orbital nerve in Le Fort II fracture, causing anesthesia of upper lip.